True statement about Melatonin are all EXCEPT:
1. Secreted by pituitary gland
2. Secreted by pineal gland
3. Associated with sleep mechanism
4. Can be used to treat jet lag

Correct answer: 1. Secreted by pituitary gland

Explanation: Ans. A Secreted by pituitary glandRef: Ganongs 24th ed. pg. 278; Guyton pg. 1009-1010* Melatonin is secreted by pinealQ gland. Its synthesis and secretion is increased remarkably in the dark period of the day and maintained at low levels in the daylight.* It is associated with sleep mechanism.* Melatonin based drugs can be used to treat jet lag and insomnia in elderly.* It also acts as inhibitor of gonadotropic hormone secretion and the gonads become inhibited and even partly involuted.